Table sugar can be used for treatment of hypoglycaemia secondary to all of the following drugs EXCEPT:
1. Acarbose
2. Metformin
3. Glipizide
4. Insulin

Correct answer: 1. Acarbose

Explanation: Acarbose: Alpha glucosidase inhibitor, stops the conversion of sucrose to glucose. Therefore using table sugar for treatment of hypoglycemia when patient is on acarbose is not useful. MOA: Located in the intestinal brush border, a-glucosidase enzymes break down carbohydrates into glucose and other simple sugars that can be absorbed. Acarbose and miglitol reversibly inhibit a-glucosidase enzymes. Major s/e are flatulence, diarrhea and abdominal cramping.